Non contraceptive benefits of oral contraceptive agent are against development of all of the following except:
1. Ectopic pregnancy
2. Endometrial carcinoma
3. Ovarian carcinoma
4. Cervical carcinoma

Correct answer: 4. Cervical carcinoma

Explanation: Ans: D i.e. Cervical carcinoma Oral contraceptive pills The contraceptive effect of OCPs prevents ectopic pregnancy. The protection rate is 90% in current OCP users Users of OCP have a 50% reduction in endometrial cancer compared with those who have never used OCPs OCPs suppress ovarian activity and inhibit ovulation; the interruption of a significant number of ovulatory cycles in oral contraceptives users may lead to a decreased incidence of ovarian cancer There may be a small increased risk of cancer of the cervix particularly in women with more than 5 years of use and in women who test positive for human papilloma virus.